False positive OGTT is seen in all except?
1. Malnourished
2. Infection
3. Severe emotional stress
4. Exercise

Correct answer: 4. Exercise

Explanation: During exercise the muscles will consume sugar; hence sugar levels can be normal in a diabetic patient. However in malnourished patients, bedridden, infection state and severe emotional stress false positive OGTT is seen. It can be explained by catecholamine surge and release of counter- regulatory hormones.